Which of the following is not permeable through the Blood Brain Barrier
1. Water
2. Lipophilic drugs
3. Gas
4. Proteins

Correct answer: 4. Proteins

Explanation: Ans. (d) Proteins(Ref: Ganong, 25th ed/p. 607)Substances that crosses the Blood Brain Barrier easily are,#Water (using carrier protein Aquaporin -4)#Glucose (using glucose transporters GLUT 1 55K and GLUT 1 45K)#O2 #CO2 #Steroid hormonesSubstances that do not crosses the Blood Brain Barrier easily are,#Protein hormones#Dopamine#H+ ions#Bicarbonate ions